Which one of the common side effects is seen with fentanyl ?
1. Chest wall rigidly
2. Tachycardia
3. Pain in abdomen
4. Hypertension

Correct answer: 1. Chest wall rigidly